All of the statements regarding cross over studies are true, except
1. Not suitable if the disease doesn't change radically during the study
2. All patients receive the new therapy
3. It is not suitable if the drug of interest cures the disease
4. None

Correct answer: 1. Not suitable if the disease doesn't change radically during the study

Explanation: Cross over study is suitable if the disease doesn't change radically during the study. In cross over study all patients recieve both new treatment and current standard treatment but are randomised to recieve them in different orders .